The Drug of choice for a pregnant woman in 2nd trimester with pustular psoriasis is:
1. Prednisolone
2. Dapsone
3. Acitretin
4. Methotrexate

Correct answer: 1. Prednisolone

Explanation: Systemic corticosteroids are not teratogenic and they are the recommended treatment of choice for pustular psoriasis in a pregnant woman. Ref: Obstetric Dermatology: A Practical Guide By Arieh Ingber, Chapter 13, Page 135